All of the following are mesodermal in origin except:
1. Dilators of iris
2. Iris stroma
3. Ciliary body
4. Choroid

Correct answer: 1. Dilators of iris

Explanation: A i.e. Dilator of iris Nervous system including all neurons, neuroglia & Schwann cells are of ectodermalQ origin except microglia which is mesodermal QAll muscles (smooth, striated & cardiac) are mesodermal except the musculature of the iris (sphincter & dilator pupillae) which are ectodermal QKidney, ureter, bladder trigone, posterior wall of female urethra, posterior wall of prostatic male urethra & inner glandular zone of prostate are of mesodermal origin.Endodermal origin epithelium is seen in urinary bladder except trigone (mesodermal); Female urethra except part of its posterior wall (mesodermal); male urethra except part of the posterior wall of its prostatic part (mesodermal) & except the penile urethra lying in glans penis (ectoderm) and greater part of prostate except inner glandular zone (mesodermal)